In finger print reader (FINDER), prints of eight fingers are recorded excluding
1. Thumb
2. Middle finger
3. Ring finger
4. Little finger

Correct answer: 4. Little finger

Explanation: Fingerprint reader (FINDER) is a computerised automatic fingerprint reading system which can record each fingerprint data in half second. Prints of eight fingers are recorded excluding little fingersQ.